In a clinical trial, blood pressure was measured between in a group of patients before and after treatment, which of the following test will be suitable as at test of significance?
1. Paired t-test
2. Mann Whitney U test
3. Student test
4. ANOVA

Correct answer: 1. Paired t-test

Explanation: Ans. A. Paired t-test